Adult patient with multiple scaly macules over chest and back, test which can diagnose this condition is/ are?
1. 10% KOH moun
2. Wood Lamp examination
3. Skin biopsy
4. All the above

Correct answer: 4. All the above

Explanation: Ans. is 'd' i.e., All the above Information in this question Adult patient Hypopigmented macule With scales Over chest and back Most probable diagnosis is: Pityriasis versicolor Diagnosis of Pityriasis versicolor Examination of scales in 10% KOH shows short hyphae and round spores (Sphagetti and meat ball appearance). Wood lamp shows apple green fluorescence (blue-green fluorescence). Skin surface biopsy ---> A Cyanoacrylate adhesive (Crazy glue) is used to remove the layer of stratum coreum on glass slide and then stained with PAS reagent.